Not true about right kidney is
1. Right kidney is preferred over the left for transplantation
2. Rt. is lower than the left kidney
3. Right renal vein is shoer than the left
4. Right kidney is related to the duodenum

Correct answer: 1. Right kidney is preferred over the left for transplantation

Explanation: Renal Transplantation Before the donation it is essential to perform imaging (usually MR angiography or CT angiography) to delineate the anatomy of the aerial supply to the kidneysQ. If the left kidney has a single renal aery (10% of kidneys have two or more aeries) it is usually chosen for transplantation because it has a longer renal vein, which simplifies the transplant operationQ. The presence of multiple aeries does not necessarily preclude donation although implantation of living donor kidneys with multiple aeries may increases the chances of vascular complications developing after implantationQ.